Causative agent for Farmers' Lung is?
1. Thermoactinomyces sacchari
2. Thermophiles actinomyces
3. Cotton dust
4. Pigeon feather

Correct answer: 2. Thermophiles actinomyces

Explanation: Ans. is 'b' i.e., Thermophiles actinomyces * Farmer's lung is a hypersensitivity (type III) pneumonitis induced by the inhalation of biologic dusts coming from hay dust or mold spores or any other agricultural products.* These types of immune response are most often initiated by exposure to thermophilic actinomycetes (most commonly Saccharopolyspora rectivirgula).